The primary cause for the development of shock following hemorrhage is
1. Marked vasodilation
2. Decreased blood volume
3. Inadequate output by the heart
4. Obstruction to blood flow

Correct answer: 2. Decreased blood volume

Explanation: Hemorrhage is the most important cause of hypovolemic shock. There will be reduction in the venous return leading to a fall in cardiac output and BP. The severity of shock depends upon the rapidity of blood loss. Ref: Textbook of medical physiology by N Geetha, 3rd edition, page no. 204